Which of the following statements about partial mole is false?
1. Usually associated with Triploidy
2. Rarely causes Persistent Gestational Trophoblastic Neoplasia
3. Usually present as Missed Abortions
4. Can be reliably diagnosed by USG in early gestation

Correct answer: 4. Can be reliably diagnosed by USG in early gestation

Explanation: Partial mole cannot be diagnosed by ultrasonography at a very early gestational ages, before the chorionic villi have attained vesicular pattern. Ref: Williams Gynaecology, 1st Edition, Page 758; Novak's Textbook of Gynecology, 14th Edition, Pages 1588, 1582; Obstetrics and Gynecology By Beckmann, 6th Edition, Page 360; Textbook of Obstetrics By DC Dutta, 6th Edition, Page 201.